Miotics are used in?
1. Divergent squint
2. Convergent squint
3. Paralytic squint
4. All

Correct answer: 2. Convergent squint

Explanation: ANSWER: (B) Convergent squintsREF: Parson's 20th ed p. 401-404Miotics (ecthiopate 0.125%) can be used for accommodative esotropia (convergent squints)Formation of iris cysts due to ecthipoate can be prevented by using phenylephrine 2.5% drops.